Pasteurized milk is tested by
1. Phosphatase test
2. OTA test
3. Nitrate test
4. Nitroprusside test

Correct answer: 1. Phosphatase test

Explanation: Ans) a (Phosphatase test Ref Park 20th Edn P569Tests for pasteurized milka) Phosphatase testb) Standard plate testc) Coli form countMethylene blue reduction test- It is an indirect method for detection of microorganisms in milk, and carried out on milk accepted for pasteurization.Methods of pasteurization.Holder (vat) method-in this milk is kept at 63-66degc for at least 30 minutes and then cooled to 5degcHigh temperature and short time methodMilk is rapidly heated to temperature of nearly 72degc is held at that temperature for not less than 15 seconds and is then cooled to 4degc.It is the most widely used method now. Ultra high temperature method (UHT)Milk is rapidly heated usually in 2 stages to 125degc.Thermoduric bacteria and bacterial spores are resistant to pasteurization.OTA test-for detection and estimation of free and combined chlorine in chlorinated water.